A patient of VSD in CCF develops clubbing with no cyanosis diagnosis is -
1. Right to left shunt
2. Left to right shunt
3. Subacute bacterial Endocarditis
4. Pulm. edema

Correct answer: 3. Subacute bacterial Endocarditis

Explanation: Ans. is 'c' i.e., i.e., Subacute bacterial endocarditis Clubbing in a patient with VSD suggest infective endocarditis. Course and complications of VSD 70 to 80 % of all VSD become smaller in size or disappear entirely --> Spontaneous closure of VSD. Common complications of VSD are : - 1) Pulmonary hypertension 2) CHF 3)Infective endocarditis VSD is the commonest CHD complicated by infective endocarditis. 4) Aortic regurgitation.